What is TRUE about spermatogenesis
1. Occurs in spermatic cord
2. Spermatogonium forms sperm in 74 days
3. Meiosis occurs only after secondary spermatocyte
4. Spermatid is formed from spermatozoa

Correct answer: 2. Spermatogonium forms sperm in 74 days

Explanation: Spermatogenesis is the formation of spermatozoa from spermatogonium. Spermatogenesis takes place within several structures of the male reproductive system . The initial stages occur within the testes and progress to the epidydymis where the developing gametes mature and are stored until ejaculation . Duration of spermatogenesis i.e. formation of sperm from spermatogonia : 74 days. Meiosis occurs both before & after secondary spermatocyte stage. Spermatid is formed from Secondary spermatocyte & it further forms spermatozoa.